Galactorrhea can be seen in all except?
1. Prolactinoma
2. Acromegaly
3. Secondary hypothyroidism
4. Chronic renal failure

Correct answer: 3. Secondary hypothyroidism

Explanation: Option A can be ruled out right away. Option B: Some pituitary adenomas are plurihormonal and can overproduce Prolactin leading to galactorrhea. Option D: Prolactin is excreted kidney and another reason is direct uraemic toxin effect on hypothalamic function (reducing inhibitory dopaminergic tonus and increasing prolactin secretion) Secondary hypothyroidism occurs due to anterior pituitary damage. Conditions like Sheehan syndrome and Simmond's disease can lead to reduction of TSH as well as prolactin levels.